Intact cornea can be penetrated by -
1. Gonococcus
2. Pseudomonas
3. Streptococcus
4. Pneumococcus

Correct answer: 1. Gonococcus

Explanation: Ans. is 'a' i.e., Gonococcus o The organisms which can penetrate intact corneal epithelium are Neisseria gonorrhoea, Haemophilus aegyptus, corynebacterium diphtheriae, Listeria species and Neisseria meningitidis.